Usual sign of opioid withdrawal:
1. Stupor
2. Constipation
3. Constricted pupil
4. Yawning

Correct answer: 4. Yawning

Explanation: Ans. Yawning